All are true regarding Japanese encephalitis except ?
1. Caused by flavivirus
2. Herons are reservoir host
3. Transmitted by culex
4. Cattels are amplifier hosts

Correct answer: 4. Cattels are amplifier hosts

Explanation: Ans. is 'd' i.e., Cattles are amplifier hosts Japanese encephalitis Caused by a group B arbovirus (flavivirus) It is a Zoonotic disease ie infecting mainly animals and incidentally man. In south, epidemics have occured in Karnataka, Andhra predesh, TamilNadu, and Kerala.